A young female patient came for routine examination.On examination a mid systolic click was found. There is no history of RHD. The histopathologicaI examination is most likely to show
1. Myxomatous degeneration and prolapsed of the mitral valve
2. Fibrinous deposition on the tip of papillary muscle
3. Rupture of chordae tendinae
4. Asehoff nodule on the mitral valve

Correct answer: 1. Myxomatous degeneration and prolapsed of the mitral valve

Explanation: Myxomatous mitral valve most paintents are asymptomatic and the valvular abnormality is discovered only incidently on physical examination. In minority of cases patient complains of palpitation, dyspnea, or atypical chest pain. Auscultation discloses a mid systolic click caused by abrupt tensn on the redundant valve leaflets and chordae tendineae as the valve attempt to close Robbins 9 th edition page no. 390